Early deceleration pattern on cardiotocography indicates :
1. Head compression
2. Fetal distress
3. Cord prolapse
4. Hypoxia

Correct answer: 1. Head compression

Explanation: Head compression